Most comon cause of obstruction in atrophic rhinitis is
1. Excessive formation of crust
2. Polyp
3. Synechiae
4. Hypertrophy of turbinate

Correct answer: 1. Excessive formation of crust